Perimolysis is
1. Tooth wear due to gastric secretion
2. Tooth wear due to bruxism
3. Tooth wear due to dentifrices
4. Peripheral blood cell destruction

Correct answer: 1. Tooth wear due to gastric secretion